Drug of choice for neonatal convulsions –
1. Valproate
2. Phenytoin
3. Phenobarbitone
4. Carbamazepine

Correct answer: 3. Phenobarbitone